All of the following movements occur during abduction of shoulder except
1. Elevation of humerus
2. Axial rotation of clavicle
3. Medial rotation of scapula
4. Acromioclavicular joint movement

Correct answer: 3. Medial rotation of scapula

Explanation: Abduction of the shoulder joint is initiated by both supraspinatus and deltoid and are involved throughout the range of abduction from 0deg-90deg. Serratus anterior and upper and lower fibres of trapezius aids in the abduction from 90deg-180deg. BD Chaurasia 7th edition Page no: 149